Puff of smoke is a feature of
1. Joubert syndrome
2. Moya Moya disease
3. Both
4. None of the above

Correct answer: 2. Moya Moya disease

Explanation: Puff of smoke is a feature of Moya Moya disease on Angiography It is caused due to chronic vasospasm of supraclinoid part of ICA. IVY'S SIGN- Prominent leptomeningeal collaterals in moya-moya disease result in vivid contrast enhancement and high signal on FLAIR due to slow flow. The appearance is reminiscent of the brain having been covered with ivy. Figure: Puff of smoke sign